A lymph node from a 10-year-old boy reveals large pleomorphic lymphocytes with CD30 positivity, frequent mitoses, and scattered cells bearing kidney-shaped nuclei. Which of the following statements is true?
1. t(2;5) translocation imparts a worsened prognosis.
2. ALK protein immunostaining is seen in a minority of cases.
3. This tumor occurs exclusively in children
4. Hallmark cells are a feature.

Correct answer: 4. Hallmark cells are a feature.

Explanation: This patient has anaplastic large cell lymphoma (ALCL). The constituent cells are positive for CD30. Scattered cells showing kidney or donut-shaped nuclei with an eosinophilic region adjacent to the nucleus are known as "Hallmark cells." The majority of cases in children shows a t(2;5) translocation which correlates with ALK positivity and improved survival. Bimodal incidence.